All are viral causes of PUO except:
1. EBV
2. CMV
3. HIV
4. Leptospirosis

Correct answer: 4. Leptospirosis

Explanation: Ans: d (Leptospirosis) Ref: Harrison, 16 ed, p. 116, 17th ed, p. 132A quite straight forward question. The answer is leptospirosis because it is not a viral cause of PUOPUO: (Pyrexia of unknown origin)Definition:Temperature >38.3(ICRT on several occasionsOrA duration of fever of >3 weeksOrFailure to reach a diagnosis despite I week of inpatient investigationClassic PUOFever with 3 outpatient visitsOr3 days in the hospital without elucidation of a causeOr1 week of intelligent and invasive work upNosocomial PUOA temperature of more than or equal to 38.3degC develops on several occasions in a hospitalized patient who is receiving acute care and in whom infection was not manifest or incubating on admission.Neutropenic PUOTemperature more than or equal to 38.3degC on several occasions in a patient whose neutrophil count is <500/ml or is expected to fall to that level in 1 or 2 days.HIV associated PUOTemperature more than or equal to 38.3ftC on several occasions over a period of >4 weeks for outpatients or > 3 days for hospitalized patients with HIV infection.